Septic shock is due to -
1. Protein
2. Lipopolysaccharide
3. Teichoic acid
4. Peptidoglycan

Correct answer: 2. Lipopolysaccharide

Explanation: Septic shock results most often from gram-negative bacteria entering the body. lysis of gram negative bacteria releases endotoxin, a lipopolysaccharide into the circulation. it is responsible for immune system activation and systemic inflammatory response. Reference:rush Mohan textbook of pathology, 7th edition, pg no: 96